The oesophgus commences at the following level?
1. Lower end of cricoid
2. C5 vertebra
3. 10cm from incisor teeth
4. C7

Correct answer: 1. Lower end of cricoid

Explanation: A. i.e. Lower end of Cricoid